Secondary spermatocyte is
1. Haploid (n) and 2N
2. Haploid (2n) and 2N
3. Diploid (2n) and N
4. Diploid (n) and 2N

Correct answer: 1. Haploid (n) and 2N

Explanation: Secondary spermatocyte is haploid formed by meiotic division Description Human embryology Tenth edition